In Kreb's cycle and Urea cycle the linking component is
1. Arginine
2. Aspartate
3. Ammonia
4. Fumarate

Correct answer: 4. Fumarate

Explanation: Urea cycle * Cleavage of argininosuccinate by argininosuccinate lyase, results in formation of arginine and release of the aspartate skeleton as fumarate (funnelled into TCA cycle) * Subsequent addition of water to fumarate forms l-malate, with subsequent oxidation forms oxaloacetate, followed by its transamination by glutamate aminotransferase then re-forms aspartate. * Argininosuccinate synthase links aspartate and citrulline forms argininosuccinate. * Thus the urea cycle is linked to TCA cycle through fumarate Ref:- Harper 30/e; pg num:- 294